A person returns to Delhi from Bangladesh after 2 days and has diarrhoea. Stool examination shows RBC's in stool. The likely organism causing is -
1. Enteropathogenic E. Coli
2. Enterotoxigenic E. Coli
3. Salmonella typhi
4. Shigella dysenteriae

Correct answer: 4. Shigella dysenteriae